Which of the following cannot be done by a 15 month child?
1. Walking with support
2. Transfers objects from 1 hand to another
3. Builds tower of 2 cubes
4. Speaks three-word sentences

Correct answer: 4. Speaks three-word sentences

Explanation: A child speaks 2 word sentences at 2 years and 3 word sentences at 3 years -walks with support 12 months onwards, -transfers objects at 7 months, -builds a tower of 2 cubes at 15 months